Most common cancer that metastasizes to leptomeninges :
1. Lung cancer
2. Breast cancer
3. Prostate cancer
4. Ovarian cancer

Correct answer: 2. Breast cancer

Explanation: Most common cancer that metastasizes to brain : Lung cancer.
Most common cancer that metastasizes to leptomeninges : Breast cancer.